A positive fistula test during Siegelisation indicates-
1. Ossicular discontinuity
2. Para-labyrinthitis due to erosion of lateral semicircular canal
3. CSF leak through the ear
4. Fixation of stapes bone

Correct answer: 2. Para-labyrinthitis due to erosion of lateral semicircular canal

Explanation: Fistula test is done to Assess the Vestibular Function

Basis: In case of fistulous communication between middle ear and labyrinth

↓
Any pressure change in
External auditory canal (produced by pressing tragus or by siegel’s speculum)
↓
will stimulate lateral semicircular canal (Ans 11 – Ref Tuli 1/e p. 939)
↓
Produce nystagmus/vertigo